Na+ channel concentration is highest at
1. Dendrites
2. Soma
3. Axon hillock
4. Axon

Correct answer: 3. Axon hillock

Explanation: Axon hillock has greatest in a sodium plus channel concentration Ref : guyton and hall textbook of medical physiology 12 edition page number:66,67,68